Brown atrophy occurs due to deposition of?
1. Melanin
2. Hemosiderin
3. Hematin
4. Lipofuscin

Correct answer: 4. Lipofuscin

Explanation: Ans. is 'd' i.e., Lipofuscin o Deposition of lipofuscin in the heart is referred as brown atrophy.